The most important source of reducing equivalents for fatty acid synthesis in the liver is
1. Glycolysis
2. TCA cycle
3. Uronic acid pathway
4. HMP pathway

Correct answer: 4. HMP pathway

Explanation: HMP pathway 

The main source of NADPH for lipogenesis is the pentose phosphate pathway: PPP (also called the hexose monophosphate pathway: HMP).